Half life f-18 is:
1. 110 min
2. 90 min
3. 6 hours
4. 13 days

Correct answer: 1. 110 min

Explanation: Ans. 110 min